Prostaglandin inhibiting action of aspirin is useful in the treatment of all of the following conditions, except:
1. Analgesia and antipyresis
2. Closure of ductus arteriosus
3. Uricosuria
4. Anti-inflammatory and anti platelet aggregation

Correct answer: 3. Uricosuria

Explanation: Ans. (C) Uricosuria(Ref: KDT 8th/e p212, 213)Inhibition of PG synthesis is responsible for analgesic, antipyretic, anti-inflammatory and antiplatelet actions of aspirin. This action is also utilized in the treatment of PDA. High doses of aspirin cause uricosuria whereas therapeutic doses result in hyperuricemia. These effects are unrelated to its action on PG synthesis.